Which of the following DPP IV inhibitors does not require dose modification in Chronic kidney disease patients
1. Sitagliptin
2. Vildagliptin
3. Linagliptin
4. All of the above

Correct answer: 3. Linagliptin

Explanation: Linagliptin is is DPP IV inhibitors does not require dose modifications in Chronic kidney disease patients and can be used even in stage 5 ckd patients .